A patient with spine, chest and abdominal injury in road traffic accident developed hypotension and bradycardia. Most likely reason is:
1. Hypovolemic shock
2. Distributive
3. Hypovolemic + septicemic shock
4. Neurogenic shock

Correct answer: 4. Neurogenic shock

Explanation: Trauma+ Hypotension+ Bradycardia= Neurogenic shock NEUROGENIC SHOCK - Results from loss or suppression of sympathetic tone-Massive vasodilation in venous Vasculature -| Venous return -| Cardiac output - Impaired tissue perfusion & Cellular metabolism. Clinical features - Paralysis below the level of lesion; Hypotension - Bradycardia due to loss of sympathetic tone - Arterial & venous vasodilation - Warm & dry skin - Hypothermia